Acantholytic cells area) Epidermal cellsb) Plasma cellsc) Keratinocytesd) Giant cells
1. a
2. bc
3. ad
4. ac

Correct answer: 4. ac

Explanation: Acantholytic cells (Tzank cells) are separated keratinocytes, the major epidermal cells.